Vaginal delivery is allowed in all except:
1. monochorionic monoamniotic twins
2. First twin cephalic and second breech
3. Extended breech
4. Mento anterior

Correct answer: 1. monochorionic monoamniotic twins

Explanation: Monochorionic monoamniotic twins are one of the main indication for elective Caesarean section. Reference:Textbook of obstetrics,Sheila Balakrishnan,2nd edition,page no:188.